Which of the following has small representation in somatosensory area of cerebral cortex
1. Lips
2. Thumb/fingers
3. Tongue
4. Trunk

Correct answer: 4. Trunk

Explanation: Ans. (d) Trunk(Ref: Ganong, 25th ed/p.169)Lips and thumb has got the maximum representation in somatosensory areaRepresentations for trunk and back are small